Which of the following drugs decreases hepatic glucose output and improves peripheral insulin utilization?
1. Chlorpropamide
2. Glyburide
3. Miglitol
4. Pioglitazone

Correct answer: 4. Pioglitazone

Explanation: Thiazolidinediones, such as pioglitazone, are antidiabetic agents that increase insulin sensitivity through a variety of mechanisms that result in decreased hepatic gluconeogenesis and increased insulin-dependent muscle glucose uptake. Chlorpropamide is an oral hypoglycemic agent that is a sulfonylurea derivative. It stimulates secretion of insulin from the pancreas. Glyburide is a sulfonylurea derivative that stimulates insulin secretion from the pancreas. Miglitol is an antidiabetic agent that retards glucose absorption in the intestinal tract. The net result is a lowering of postprandial glucose levels.